Structure passing deep to flexor retinaculum is ?
1. Post tibial artery
2. Long saphenous vein
3. Tibialis ant. tendon
4. Peroneus tertius

Correct answer: 1. Post tibial artery

Explanation: Ans. is 'a' i.e., Post tibial artery